Dimorphic with subcutaneous Mycosis is
1. Histoplasmosis
2. Rhinosporidiosis
3. Sporotrichosis
4. Blastomycosis

Correct answer: 3. Sporotrichosis

Explanation: Sporotrichosis:

Dimorphic fungi
Causes subcutaneous infections.